In a 3 year old baby, all of the following can be used as a criteria for diagnosis of Severe acute malnutrition EXCEPT?
1. Weight/height < -3 Z score, using the WHO Growth charts
2. Presence of bipedal edema of nutritional origin
3. Mid- upper arm circumference (MUAC) < 115 mm
4. Presence of flaky paint dermatosis

Correct answer: 4. Presence of flaky paint dermatosis

Explanation: Diagnostic criteria for severe acute malnutrition in children between 6 months to 5 year age include: 1. Weight/height or Weight/length < -3 Z score, using the WHO Growth Standards 2. Presence of bipedal edema of nutritional origin 3. Mid- upper arm circumference (MUAC) < 115 mm